Osiander's sign means :
1. Pulsation in the lateral vaginal fornix
2. Bluish colour change in the vagina
3. Softening of the cervix
4. On bimanual palpation the finger can be approximated as if nothing is in between

Correct answer: 1. Pulsation in the lateral vaginal fornix

Explanation: Pulsation in the lateral vaginal fornix